Not compatible with soda lime
1. Ether
2. Halothene
3. Trilene
4. N20

Correct answer: 3. Trilene

Explanation: C i.e. Trielene